Niacin dificiens causes all except -
1. Dermatitis
2. Dactvlis
3. Diarrhoea
4. Dementia

Correct answer: 2. Dactvlis

Explanation: Ans. is 'b' i.e., Dactylis Niacino Vitamin B3o Niacin incorporated into NAD & NADPo Both are co-enzyme for oxydation-reduction reactiono Deficiency cause pellagra characterised by3D- 1) Dermatitis2) Diarrhoea3) Dementia